Maxwell - Voigt model is to determine:
1. Elastic behavior
2. Plastic behavior
3. Viscoelastic behavior
4. All the above

Correct answer: 3. Viscoelastic behavior

Explanation: The simplest model that demonstrates the viscoelastic behavior is a Maxwell-Voigt model, which consists of a spring (S1) and a dashpot (D1) in series and a second set (S2 and D2) in parallel.
Reference: PHILLIPS’ SCIENCE OF DENTAL MATERIALS, 12th ed page no 163